Patient wants to scratch for itching in his amputated limb is an example of
1. Illusion
2. Pseudohallucination
3. Phantom limb hallucination
4. Autoscopic hallucination

Correct answer: 3. Phantom limb hallucination

Explanation: The phantom limb is the most common organic somatic hallucination of psychiatric origin. In this case the patient feels that they have a limb from which in fact they are not receiving any sensations either because it has been amputated or because the sensory pathways from it have been destroyed. Reference: Fish's Clinical Psychopathology, page 29.